Bacteria showing antigenic variation ?
1. Yersinia
2. Bordetella
3. Brucella
4. Borrelia

Correct answer: 4. Borrelia

Explanation: Ans. is 'd' i.e., Borrelia Bacteria showing antigenic variation are :? i) Neisseria (Meningococci, Gonococci) ii) Streptococcus spp iii) Mycoplasma iv) Borrelia burgdorferi